Contraindication for lasik is
1. >/= 2years
2. Keratoconus
3. Normal cornea
4. Myopis of -8D

Correct answer: 2. Keratoconus

Explanation: Patient selection criteria are:  Patients above 20 years of age,  Stable refraction for at least 12 months.  Motivated patient.  Absence of corneal pathology Reference : A K KHURANA; 6th edition;Page no: 53